Which of the following is NOT a characteristic of Carcinoma esophagus?
1. Adenocarcinoma
2. Middle one third affected
3. Dysphagia
4. Pernicious anemia often present

Correct answer: 4. Pernicious anemia often present

Explanation: Adenocarcinoma and squamous cell carcinoma are the two common type of carcinoma esophagus. Other rare type of esophageal carcinoma include undifferentiated, carcinoma, malignant melanoma, lymphoma and sarcoma. Middle one third is most common site of carcinoma and is involved in about 60% of esophageal cancers. Dysphagia is the most common symptom of esophageal carcinoma. It initially occur with solids food then gradually progress to semi solid and then to liquids. Pernicious anemia is a risk factor for carcinoma stomach, it is not associated with esophageal carcinoma. Ref: Harrison 17/e, Page 647 ; Sabiston 17/e, Page 1119